Black water fever is seen in -
1. Leishmaniasis
2. Falciparum malaria
3. Trypanosomiasis
4. Leptospirosis

Correct answer: 2. Falciparum malaria

Explanation: Blackwater fever is a renal complication of falciparum malaria . It is due to severe hemolysis resulting in hemoglobinuria. Reference: Harrison20th edition pg 1107